Brain injury patient in shock, emergency treatment:
1. Hypotensive resuscitation to prevent brain edema
2. Increase intracranial hemorrhage
3. Emergency craniotomy
4. Maintaining euvolemia

Correct answer: 4. Maintaining euvolemia